Noonan syndrome is characterized  by all except
1. Hypertrophic cardiomyopathy
2. Dysplastic pulmonary stenosis
3. Pectus excavatum
4. Coarctation of aorta

Correct answer: 4. Coarctation of aorta

Explanation: Coarctation  of aorta  is not the cardiovascular manifestation  in Noonan syndrome.